About Wolf-Parkinson-White (WPW) syndrome, which is wrong?
1. There is a risk of ventricular tachycardia
2. Presentation may be with hydrops foetalis
3. Type a is seen in association with Ebstein's anomaly
4. Flecainide reduces the recurrence risk of tachycardias

Correct answer: 3. Type a is seen in association with Ebstein's anomaly

Explanation: Wolf-Parkinson-White(WPW) syndrome is a congenital condition resulting from an abnormal connection between the atria and ventricles. The ECG has a short PR interval. Wide QRS complexes and a delta wave. There are two types: (a) and (b). Type b associated with Ebsteins. Presentation may be with hydrops foetalis or intra-uterine death if there is in-utero tachycardia. Flecanide can be used to stop the tachycardia and to reduce the risk of recurrence of tachycardia.